A most common organism which can contaminate crowded army camps is ?
1. Klebsiella
2. E. coli
3. Neisseria meningitidis
4. Staphylococcus

Correct answer: 3. Neisseria meningitidis

Explanation: Epidemics of Neisseria meningitidis usually occur in closed crowded conditions like jails or army camps.